ECG was performed on a total of 700 subjects with complaints of acute chest pain. Of these, 520 patients had myocardial infarction. Calculate the positive predictive value of ECG is: MYOCARDIAL INFARCTION ECG PRESENT ABSENT TOTAL POSITIVE 416 9 425 NEGATIVE 104 171 275 TOTAL 520 180 700
1. 40%
2. 55%
3. 95%
4. 98%

Correct answer: 4. 98%

Explanation: Positive predictive value=true positive/(true positive+ false positive) 416/425 x 100= 98% Ref: Medical biostatistics, 1st edition pg: 201